A gallstone gets impacted most commonly in which part of common bile duct
1. Supra duodenal
2. Retro duodenal
3. Ampulla of vater
4. Common hepatic duct

Correct answer: 3. Ampulla of vater

Explanation: Most gallstones pass out of body unnoticed, but some become lodged in the common bile duct, causing jaundice A frequent site of gallstone impaction is the ampulla of vater, where common channel meets the small intestine Blockage of the common channel by a gallstone can induce acute pancreatitis Ref: Internet sources